All of the following are true about ASD ilk except –
1. Right atrial hypertrophy
2. Left atrial hypertrophy
3. Right ventricular hypertrophy
4. Pulmonary hypertension

Correct answer: 2. Left atrial hypertrophy

Explanation: In ASD there is abnormal communication between left and right atria which causes left to right shunt because pressure in left atrium is higher (3-5 mm Hg) than right atrial piessure.
This results in : -


Volume overload to right atrium  → Dilatation and hypertrophy of right atrium.
Volume overlead to right ventricle  → Dilatation and hypertrophy of right ventricle.
Increased blood flow through lungs → Pulmonary plethora which can cause pulmonary hypertension.